A farmer with h/o handling cows presents wtih ulcer over hand with central black eschar. False statement regarding organism responsible is :
1. Gram positive bacillus
2. Non-motile
3. Spore bearing
4. Capsule is made up of polysaccharide.

Correct answer: 4. Capsule is made up of polysaccharide.

Explanation: Case of anthrax. Organism is bacillus anthracis and capsule is made of polypeptide.